Priapism can be due to?
1. C.M.L
2. Myelo-fibrosis
3. A.I.H.A.
4. Thrombocytopenia

Correct answer: 1. C.M.L

Explanation: Ans. (a) C.M.LRef: Harrison 19th ed. / 324y 634Priapism is characterized by prolonged, painful and irreducible erection, not resulting in ejaculation. It is an emergency with a poor prognosis, as the risk of impotence is 50%.Causes of Priapism* Sickle cell anemia* Chronic myelogenous leukemia, Chronic lymphocytic leukemia, and acute lymphoblastic leukemia* Drugs